All of the following agents are are tocolytics, EXCEPT:
1. Ritodrine
2. Salbutamol
3. Isoxsuprine
4. Misoprostol

Correct answer: 4. Misoprostol

Explanation: Among the above given options, Misoprostol is not a tocolytic. It is a methyl ester of PGE1 which has been used for cervical ripening and induction of labour. Ref: Who Model Formulary 2008 By Mark C. Stuart, Maria Kouimtzi, World Health Organization, Suzanne R. Hill, Pages 450-51; Dutta textbook of Obstetrics 6th edition, Pages 175, 505 and 507-508